The most common type of congenital atresia is
1. Proximal blind end, distal end communicating with trachea
2. Distal blind end, proximal end communicating with trachea
3. Proximal and distal ends open and communicating with trachea
4. Both ends bleed

Correct answer: 1. Proximal blind end, distal end communicating with trachea

Explanation: Type C is the most common type of tracheoesophageal fistula. It involves proximal esophageal atresia with distal TEF.